Management of stone on CBD includes following except
1. ERCP
2. Laparoscopic CBD exploration
3. Medical dissolution of stone
4. Endosphincteric removal

Correct answer: 3. Medical dissolution of stone

Explanation: Medical dissolution of stone is used for gallstones, not the CBD stones CBD ctones are rarely asymptomatic, often present with complication CBD stones should be treated, if diagnosed. Treatment options include ERCP, laparoscopic or open CBD exploration Ref : Bailey and love 27th edition Pgno : 1200